In Marfan's syndrome which of the following will be seen in eyes:
1. Infero-nesal subluxation of lens
2. Supero-temporal subluxation of lens
3. Corneal edema
4. Increased IOP

Correct answer: 2. Supero-temporal subluxation of lens

Explanation: Ans. (b) Supero-temporal subluxation of lensRef: Khurana 4th ed./ 202* Marafans syndrome is an autosomal dominant condition.* Subluxation of lens is a common finding, which is seen in upward and temporal area, bilaterally symmetrical.* Other abnormalities includes: spider finger, long extremities, high arched palate and dissecting aortic aneurysm with normal IQ.Also KnowSuluxation of lens also seen in-* Homocystinuria: Autosomal Recessive condition; Downward and nasally displaced lens.* Weil marchesani syndrome: Forward subluxation and spheroaphakia* Sulphite oxidase deficiency: ectopia lentis is universal ocular feature* Ehler's danlos syndrome* Hyperlysinemia* Stickler syndrome